Grading of carcinoma epiglottis involving pre-epiglottic space will be:
1. T3 stage
2. T2 stage
3. T1 stage
4. T4 stage

Correct answer: 1. T3 stage

Explanation: (Refer: PL Dhingra, Textbook of Ear, Nose, Throat, 6th edition, pg no: 308)
Tumor staging of Supraglottic cancer